Weight by height is normal for a child but he is low height by age. He is:-
1. Waste
2. Stunted
3. Wasted and stunted
4. None

Correct answer: 2. Stunted

Explanation: Low height for age: Stunting / Dwarfism (Chronic PEM) Low weight for height: Wasting / Emaciation (Acute PEM) Low weight for age: Underweight.(Acute on chronic PEM)